Which drug used in bronchial asthma needs monitoring-
1. Theophylline
2. Cromoglycate
3. Salmeterol
4. Terbutaline

Correct answer: 1. Theophylline

Explanation: Ans. is 'a' i.e., Theophylline o Theophylline has low safety margin and therefore requires therepeutic drug monitoring.